Desks provided with table top to prevent neck problems in an example of
1. Primordial prevention
2. Secondary prevention
3. Specific protection
4. Disability limitation

Correct answer: 3. Specific protection

Explanation: Specific protection comes under Primary prevention. It prevents risk factor from progressing to disease. Ref : Park's Textbook of Preventive and Social Medicine; 23rd edition; Page 42